In mycoplasma pneumonia, following are seen except-
1. Diffuse infiltration of lungs
2. Cannot be cultured routinely
3. Best treatment by cefotaxime
4. Serology is useful in diagnosis

Correct answer: 3. Best treatment by cefotaxime